All are true regarding caput succendaneum is except-
1. Present at birth
2. Disappears spontaneously within 24 hours of birth
3. Not limited by suture line
4. Always unilateral

Correct answer: 4. Always unilateral

Explanation: Ans. is 'd' i.e., Always Unilateral Caput succendaneumo Formation of swelling due to stagnation of fluid in the layers of the scalp beneath the girdle of contacto Present at birth.o Disappears spontaneously within 24 hours after birtho Not limited by suture line.o Swelling may extend to both sides of scalp (bilateral).